Rigler's triad is seen in
1. Pneumo peritoneum
2. Intestinal obstruction
3. Gallstone ileus
4. Ulcerative colitis.

Correct answer: 3. Gallstone ileus

Explanation: Gallstone ileus - Rigler's triad

Ectopic gall stone
Pneumobilia
Small bowel obstruction.